Which is not transmitted by arthropod -
1. Rickettsia prowazekii
2. Coxiella burnetii
3. Rickettsia akari
4. Rickettsia rickettsii

Correct answer: 2. Coxiella burnetii